Panthothenic acid is coenzyme of which of the following reaction (s):
1. Dehydrogenation
2. Oxidation
3. Decarboxylation
4. Acetylation

Correct answer: 4. Acetylation

Explanation: D i.e. Acetylation Pantothenic acid is necessary for synthesis of coenzyme A (CoA)Q, which functions as a coenzyme for acetylation reactionsQ